Drug of choice in pregnant women with Secondary Syphilis is?
1. Doxycycline
2. Benzathine Penicillin
3. Ceftriaxone
4. Cotrimoxazole

Correct answer: 2. Benzathine Penicillin

Explanation: Ans. (b) Benzathine PenicillinRef: Danforth's Obstetrics and Gynecology, lOthed p 613